Mechanism of action of oximes is
1. Inhibiting cholinergic receptors
2. Reactivating cholinesterase
3. Inhibiting cholinesterase
4. Reactivating cholinergic receptors

Correct answer: 2. Reactivating cholinesterase

Explanation: Oximes are acetylcholinesterase reactivators which are used in OP poisoning, not in carbamate poisoning Ref: KDT 6th ed pg 105